A subcentre in a hilly area caters to a population of
1. 1000
2. 2000
3. 3000
4. 5000

Correct answer: 3. 3000

Explanation: Ans. is `c' i.e., 3000